The following antitussive is present in opium but has no analgesic or addicting properties
1. Codeine
2. Pholcodeine
3. Noscapine
4. Ethylmorphine

Correct answer: 3. Noscapine

Explanation: Noscapine (Narcotine):- An opium alkaloid of the benzoisoquinoline series. Mech of action:- It depresses cough but has no narcotic, analgesic or dependence inducing properties. It is nearly equipotent antitussive as codeine, especially useful in spasmodic cough. side effects:- Headache and nausea avoided r contraindication:- It release histamine and produce bronchoconstriction in asthmatics. Ref:- kd tripathi; pg num:- 220